Bronchial asthma can be diagnosed by-a) Wheezeb) Dyspneac) Normal FEV1d) Coughe) Reversible obstruction
1. a
2. b
3. ae
4. ad

Correct answer: 3. ae